Dystocia dystrophia syndrome :
1. Android pelvis
2. Platypelloid pelvis
3. Anthropoid
4. Gynaecoid pelvis

Correct answer: 1. Android pelvis

Explanation: Android pelvis